Commonest site for extranodal lymphoma is
1. Liver
2. Stomach
3. Small intestine
4. Large intestine

Correct answer: 2. Stomach

Explanation: Ans. (b) Stomach(Ref: Wintrobe's 12th/pg 2177)Commonest site for extranodal lymphoma is StomachGastrointestinal tract is the most common site for extranodal NHL (10 to 15% of all NHL).Stomach accounts for 50% of gastrointestinal lymphomas